Beams can be used for cancer treatment are
1. g-rays
2. a-rays
3. Neutrons
4. All

Correct answer: 4. All

Explanation: A i.e. Gamma rays; B i.e. a-rays; C i.e. Neutron